Goal of Prudent diet, Total Cholesterol : HDL ratio should be less than:-
1. 1.5
2. 2.5
3. 3.5
4. 4.5

Correct answer: 3. 3.5

Explanation: PRUDENT DIET: Dietary modification is the principal preventive strategy in the prevention of CORONARY HEART DISEASE WHO recommendation changes main goal cholesterol : HDL ratio <3.5 It includes: 1. Reduction of fat intake to <20-30 % of total energy intake 2. Consumption of saturated fats < 7 % of total energy intake 3. Reduction in dietary cholesterol to < 200 mg/day 4. Increase in complex carbohydrate consumption 5. Reduction of salt intake to < 5gms. per day 6. Avoidance of alcohol consumption